The method most suitable for MTP in 3rd month of pregnancy is :
1. Dilatation and curettage
2. Extra amniotic ethacrydine
3. Hysterectomy
4. Suction and evacuation

Correct answer: 4. Suction and evacuation

Explanation: Suction and evacuation